Least mineralocorticoid activity is seen with which steroid -
1. Aldosterone
2. DOCA
3. Methylprednisolone
4. Hydrocortisone

Correct answer: 3. Methylprednisolone

Explanation: Ans. is 'c' i.e., Methylprednisolone Mineralocorticoid activity of given options in decreasing order : Aldosterone (3000) > DOCA (100) > Hydrocortisone (1) > Methylprednisolone (0-5).